Bedsore is an example of:
1. Tropical ulcer
2. Trophic ulcer
3. Venous ulcer
4. Post thrombotic ulcer

Correct answer: 2. Trophic ulcer

Explanation: Ans. (b) Trophic ulcer* Bedsore is a pressure ulcer. Most common in sacrum site due to persistent pressure in the back.* This is a type of trophic ulcer.* This can be prevented by frequent change of positioning of the bedridden patient and using Water/Aqua bed.* Once bedsore is formed it is difficult to treat.* Treatment extends from local wound debridement to flap procedures.